All true about pressure control ventilation except-
1. The desired inflation pressure is preselected
2. There is accelerating flow rate
3. Tidal volume can be variable
4. Alveolar pressure is fixed

Correct answer: 2. There is accelerating flow rate

Explanation: With pressure control ventilation (PCV), the desired inflation pressure is preselected, and a decelerating inspiratory flow rate provides high flows at the onset of the lung inflation, to attain the desired inflation pressure quickly. Pressure control modes of ventilation In a pressure controlled mode of ventilation, the inspiratory pressure is the control variable, and is maintained during the inspiratory phase. As a result of this, the pressure waveform is "square". This increases the mean airway pressure (i.e. the area under the pressure/time graph is greater). During the early inspiratory phase, the ventilator provides a high inspiratory flow rate to rapidly achieve the pressure limit variable ("PC above PEEP" on a SERVO-i). In order to maintain this pressure, the flow rate needs to decrease over the course of inspiration, and it generally takes the shape of a downsloping ramp. During the early inspiratory phase, the ventilator provides a high inspiratory flow rate to rapidly achieve the pressure limit variable . In order to maintain this pressure, the flow rate needs to decrease over the course of inspiration, and it generally takes the shape of a downsloping ramp.